A drug that blocks the uptake of dopamine and norepinephrine into presynaptic nerve terminals and also blocks sodium channels in the axonal membrane is :
1. Cocaine
2. Ephedrine
3. Imipramine
4. Fluoxetine

Correct answer: 1. Cocaine

Explanation: Cocaine is a local anaesthetic agent (acts by inhibiting Na+channel in the axonal membrane) that also possesses indirect sympathomimetic activity. It increases sympathetic tone, causes local vasoconstriction, marked rise in BP and tachycardia. It is the only L.A which causes vasoconstriction while others causes vasodilation.